Which of the following is associated with hydrocephalus :
1. Diabetes mellitus
2. Spina bifida
3. Breech presentation
4. All

Correct answer: 4. All

Explanation: Ans. is a, b and c i.e. Diabetes; Breech presentation; and Spina bifida Hydrocephalus as we have already discussed is Ventriculomegaly (accumulation of CSF within the ventricles) and increase in head circumference. Since the head size is big in case of hydrocephalus, it cannot accommodate in the lower uterine segment therefore Breech presentation is commondeg. (Option 'd' is correct) ''Breech presentation is found in atleast third of fetuses with hydrocephalus" Hydrocephalus is an important cause of dystocia.deg Maternal diabetes mellitus leads to a number of congenital malformations, one of which is hydrocephalus. Hydrocephalus in itself is associated with a number of other anomalies in >50% cases (an exhaustive list of which is given in I don't think you need to mug up all of them. Hydrocephalus is associated with poor fetal prognosis but besides obstructed labour and its consequences there is no other risk to mother. Extra Edge : A study done in U.S. found an association between maternal smoking and hydrocephalus. The risk of recurrence of hydrocephaly after a first affected child is 2%. Management of Hydrocephalus : Detected antenately on USG Associated with other anomalies incompatible with life. No associated anomaly Cephalocentesis by transvaginal/transabdominal technique. Elective cesarean section Note : For details on hydrocephalus I would suggest you to go through of Fernando Arias 2/e, p. 331-332 and not third edition as many important details have been chalked out.